All are documented patterns of glomerular injury in HBV related chronic liver disease, EXCEPT:
1. Minimal change nephropathy
2. Mesangial proliferative glomerulonephritis
3. Membranoproliferative glomerulonephritis
4. C3 glomerulopathy

Correct answer: 4. C3 glomerulopathy

Explanation: The association between chronic HBV infection and glomerular diseases was first described in 1971. The morphological patterns for glomerular lesions are: Membranous nephropathy, Minimal change nephropathy, Mesangial proliferative glomerulonephritis, Membranoproliferative glomerulonephritis IgA nephropathy HBV-associated nephropathy (HBVAN) occurs in childhood and mainly in males The prognosis of HBVAN is more favorable in children. Progression to renal failure is rare. Ref: Hepat Mon 2009; 9 (2): 137-145.